The salivary gland neoplasm which characterstically spreads perineurally along the cranial nerves is
1. Pleomorphic adenoma
2. Acinic cell carcinoma
3. Mucoepidermoid carcinoma
4. Adenoid cystic carcinoma

Correct answer: 4. Adenoid cystic carcinoma

Explanation: Perineural involvement is a well-recognized clinicopathologic entity found in head and neck (H&N) cancers, including mucosal epithelial carcinomas and salivary gland malignancies,esp,adenoid cystic carcinoma(31-96%).